Alpha I blocker without any effect on blood pressure is:
1. Tamsulosin
2. Prazosin
3. Doxazosin
4. Terazosin

Correct answer: 1. Tamsulosin